Swan neck deformity seen iri ?
1. Osteoarthritis
2. Rheumatoid arthritis
3. Pyogenic arthritis
4. Gout

Correct answer: 2. Rheumatoid arthritis

Explanation: ANSWER: (B) Rheumatoid arthritis